All developed up to the adult size at birth except
1. Mastoid Antrum
2. Tympanic cavity
3. Orbital cavity
4. Ear ossicle

Correct answer: 3. Orbital cavity

Explanation: Tympanic cavity, mastoid (tympanic) antrum, ear ossicles and the Internal ear are of adult size in the foetal skull.